A 20-year-old young girl, presents with history of rapidly developing hirsutism and amenorrhea with change in voice. To establish a diagnosis you would like to proceed with which of the following tests in blood:
1. 17 OH progesterone
2. DHEA
3. Testosterone
4. LH + FSH estimation

Correct answer: 3. Testosterone